Which of the following is a bacterial infection ?
1. Pyoderma gangrenosum
2. Impetigo herpetiformis
3. Pitted keratolysis
4. Mycosis fungoides

Correct answer: 3. Pitted keratolysis

Explanation: Pitted keratolysis: Superficial infection of the skin. Caused by a species of Corynebacterium. Produces small,shallow,circular erosions which haspunched-out appearance seen over pressure bearing area of soles. Associated with hyperhidrosis (and not anhidrosis). Filamentous and coccoid microorganisms were observed in skin scrapings named as Actinomyces keratolytica. Treatment of hyperhidrosis slowly brings the condition under control including potassium permanganate soaks, aluminum chloride and iontophoresis. Pyoderma gangrenosum is a rare noninfectious neutrophilic dermatosis commonly associated with underlying systemic disease. Mycosis fungoides Cutaneous T cell lymphoma. Impetigo herpetiformis Impetigo herpetiformis represents generalized pustular psoriasis triggered by or occurring in pregnancy.